All of the following are varients of Acne, EXCEPT:
1. Acne conglobata
2. Acne agminata
3. Acne fulminans
4. Pomade acne

Correct answer: 2. Acne agminata

Explanation: Acne agminata also known as lupus miliaris disseminatus faciei or facial idiopathic granulomatous with regressive evolution is a disorder of uncertain etiology. Ref: Rook Textbook of Dermatology, 8th Edition, Page 38.37.